Drug of choice to relieve pain in myocardial infarction-
1. Morphine
2. Fortwin
3. Diazepam
4. NSAID

Correct answer: 1. Morphine